Soya bean contains protein to the tune of:
1. 20%
2. 40%
3. 60%
4. 80%

Correct answer: 2. 40%

Explanation: Remember Protein content of foods: Food item Protein content (gm % per 100 gms) Soyabean 43.2 - highest quantity of proteins Pulses 21-28 Fish 15-23 Meat 18-26 Egg (hen) 13 Cereals 6-13 Milk (cow) 3.2-4.3 Extra edge: - Highest Quality of protein is seen in EGG, hence, it is used as REFERENCE PROTEIN.